The assessment or measurement of the quality of care and the implementation of any necessary changes to either
maintain or improve the quality of care rendered is
1. Quality Assessment
2. Quality Assurance
3. Quality Planning
4. Guidelines

Correct answer: 2. Quality Assurance